A children presents with recurrent upper respiratory tract infection with mouth breathing and impairment of hearing. Treatment is
1. Tonsillectomy
2. Grommet insertion
3. Adenoidectomy + Grommet insertion
4. Tympanoplasty

Correct answer: 3. Adenoidectomy + Grommet insertion

Explanation: (Adenoidectomy + Grommet insertion) (228- Dhingra 4th)* Recurrent URTI + mouth breathing and impairment of hearing reflects - diagnosis is ADENOIDSClinical featuresAetiology - Physiological enlargement* Recurrent attack of rhinitis, sinusitis or chronic tonsillitis* URTI** Nasal symptoms Aural Symptoms General Symptoms* Nasal obstruction is the commonest symptoms. This leads to mouth breathing*** Nasal discharge* Sinusitis - chronic maxillary sinusitis* Epistaxis* Voice change - toneless(i) Tubal obstruction 1/t conductive hearing loss**(ii) Recurrent attacks of Acute otitis media(iii) CSOM(iv) Serous otitis media**(1) Adenoid facies(2) Pulmonary hypertension and cor pulmonale* Adenoidectomy + Grommet insertion is treatment of choice